What is/are true about bilirubin?
1. Conjugation is rate limiting step
2. Bilirubin has affinity for elastin
3. Conjugated bilirubin is maximum in blood
4. All

Correct answer: 2. Bilirubin has affinity for elastin

Explanation: Ans. is 'b' i.e., Bilirubin has affinity for elastino Excretion of conjugated bilirubin into biliary canaliculi is the rate limiting step in bilirubin metabolism o Bilirubin has affinity for elastin, therefore jaundice is most easily seen in the sclera.o Normally unconjugated bilirubin is more than conjugated bilirubin, in bloodTotal bilirubin 0.3 -- 1.9 mg/dlConjugated bilirubin --> 0 to 0.3 mg/dlUnconjugated bilirubin --> Total - conjugated (0.3 -- 1.6 mg/dl)o Normally hemoglobin content of blood is between 120-160 gm/L (Harrison 17th/e p. A-2), and a normal adult usually have 5 litre of blood. So total hemoglobin is 600-800 gm.